Mycosis fungoides affects –
1. T Cells
2. B Cells
3. NK Cells
4. K Cells

Correct answer: 1. T Cells

Explanation: The histological hallmark of the mycosis fungoides is the presence of the Sezary-Lutzner cells. These are C':14 helper T cells.